Hyperparathyroidism causes :
1. Ostetitis deformans
2. Osteogenesis imperfecta
3. Osteitis fibrosa cystica
4. Ameloblastoma

Correct answer: 3. Osteitis fibrosa cystica